Percentage of sucrose solution used for newborn analgesia is:
1. 5%
2. 10%
3. 24%
4. 50%

Correct answer: 3. 24%

Explanation: Analgesia in newborn
A. Analgesia for minimally-invasive

Sucrose analgesia is drug of choice